The position of maximum intercuspation of upper and lower teeth is referred to as centric
1. Occlusion
2. Relation
3. Position
4. Bite

Correct answer: 1. Occlusion